3 cardinal determinants of under nutrition are all except?
1. Low birth weight
2. Infections
3. Less water intake
4. Low food intake

Correct answer: 3. Less water intake

Explanation: 3 cardinal determinants of under nutrition: Low birth weight Infections Low food intake